Lymphatic filariasis is not caused by-
1. Brugia malayi
2. Brugia timori
3. Loa loa
4. Wuchereria bancrofti

Correct answer: 3. Loa loa

Explanation: Lymphatic filariasis- infection with the filarial worms Wuchereria bancrofti & Brugia malayi is associated with clinical outcomes ranging from subclinical infection to hydrocele & elephantiasis. Loiasis is caused by Loa loa ,which is characterised by calabar swelling,an intense,tense,localised swelling that may be painful ,especially if it is near a joint. Reference Harrison20th edition pg 1123